Which one is Not true regarding Buerger's disease?
1. Men are usually involved
2. Occurs below 50 yr of age
3. Smoking is predisposing factor
4. Veins and nerves are never involved

Correct answer: 4. Veins and nerves are never involved

Explanation: Ans is 'd' ie Veins and nerves are never involved Buerger ds is inflammatory ds of the arteries with involvement of the neighbouring veins and nerves terminating in thrombosis of the artery.